If GCS score is 8, head injury is classified as:
1. Mild
2. Moderate
3. Severe
4. Very severe

Correct answer: 3. Severe

Explanation: Head injury can be classified as mild, moderate, or severe. For patients with a history of head trauma, classification is as follows: severe head injury if the GCS score is 3 to 8, moderate head injury if the GCS score is 9 to 12, and mild head injury if the GCS score is 13 to 15. Ref: Schwartz's principle of surgery 9th edition, chapter 42.